Statin induced myopathy is NOT exacerbated by which of the following drugs -
1. Nicotinic acid
2. Enalapril
3. Erythromycin
4. Clofibrate

Correct answer: 2. Enalapril

Explanation: Ans. is 'b' i.e., Enalapril Statin induced myopathy is increased by nicotinic acid, gemfibrozil, erythromycin, clofibrate (Harrison), ketoconazole, cyclosporine and HIV protease inhibitors